Location Hasner's of valve-
1. Opening of nasolacrimal duct
2. Sphenoidal sinus opening
3. Frontal sinus opening
4. Ethmoidal sinus opening

Correct answer: 1. Opening of nasolacrimal duct

Explanation: Ans, is 'a' i.e., Opening of nasolacrimal duct o Nasolacrimal duct opens into inferior meatus and is closed by a mucosal flap called Hasner's valve.